Compute the median for the following set of data, 1,2,3,4,5,6:
1. 3
2. 3.5
3. 4
4. 4.5

Correct answer: 2. 3.5

Explanation: If the number of samples is an even number, the median is midway between the two middle scores. (3+4)/2=3.5 Ref : Medical biostatistics, 1st edition pg: 111